A 40 year old man who met with a motor vehicle catastrophe came to the casualty hospital in an hour with severe maxillofacial trauma. His Pulse rate was 120/min, BP was 100/70 mm Hg, Sp02 - 80% with oxygen. What would be the immediate management-
1. Nasotracheal intubation
2. Orotracheal intubation
3. Intravenous fluid
4. Tracheostomy

Correct answer: 2. Orotracheal intubation

Explanation: Orotracheal intubation is recommended in patients with severe maxillofacial injury as patient saturation is falling . Tracheotomy is indicated in severe facial trauma but orotracheal intubation under modern intubation techniques using fibre optic assistance is being preferred over tracheostomy.